Which of the following type of collagen is most prominent and important during repair:
1. Type 2
2. Type 3
3. Type 4
4. Type 6

Correct answer: 2. Type 3

Explanation: Type 3 collagen which is normally present in the skin more also, is most prominent and important during the repair process.